All are used in status epilepticus, except-
1. Phenytoin
2. Carbamazepine
3. Diazepam
4. Phenobarbitone

Correct answer: 2. Carbamazepine